Antemortem and postmortem wounds could be differentiated by all, except -
1. Everted margins
2. Blood clots in surrounding
3. Swollen edges
4. Sharp edges

Correct answer: 4. Sharp edges

Explanation: Antemortem wound shows gaping, everted and swollen edges with vital reactions of inflammation, infection and healing.
It bleeds freely and shows extensive, deep and firmly adherent clotting (staining) of surrounding tissue which can't be washed away.